On electron microscopy of renal biopsy, distinctive "basket-weave" appearance of glomerular basement membrane (GBM) seen in:
1. IgA nephropathy
2. Alport syndrome
3. Focal segmental glomerulosclerosis (FSGS)
4. Thin Basement Membrane disease

Correct answer: 2. Alport syndrome

Explanation: Alport syndrome (type of hereditary nephritis) has characteristic electron microscopic findings. The GBM shows irregular foci of thickening alternating with attenuation (thinning), and pronounced splitting and lamination of the lamina densa, often producing a distinctive basket-weave appearance. Majority of Alport syndrome patients have X-linked disease as a result of mutation of the gene on the X chromosome encoding the a5 chain of type IV collagen (COL4A5). (a3 chain of the type IV collagen of the GBM in Goodpasture disease)